In spinal anaesthesia, the needle is piereced upto –
1. Subdural space
2. Extradural space
3. Epidural space
4. Subarachnoid space

Correct answer: 4. Subarachnoid space

Explanation: In spinal anesthesia LA is injected into subarachnoid space (space between pia matter and arachnoid matter).